Patient with bleeding due to platelet function defects has which of the following features?
1. Normal platelet count and normal bleeding time
2. Normal platelet count and increased bleeding time
3. Decreased platelet count and increased bleeding time
4. Normal platelet count and decreased bleeding time

Correct answer: 2. Normal platelet count and increased bleeding time

Explanation: Platelet defect are of two types- Functional defect and quantitative defect . Platelet function defect - - Normal platelet count - | Bleeding Time - Bernard Soulier disease ,VWD, Glanzmann's disease